Babesiosis is most commonly transmitted by:
1. Pigs
2. Rats
3. Sand fly
4. Ticks

Correct answer: 4. Ticks

Explanation: o It is transmitted by ticks. o Babesiosis is caused by Babesia microti o It is an intraerythrocytic protozoa. o Half of all children and a quarter of previously healthy adults are asymptomatic with babesia infection. o M/C symptoms are fever, hemolytic anemia o A person infected with babesiosis gradually develops malaise, fatigue and fever. o Babesia maltese cross resembles plasmodium falciparum gametocyte arrangement. pig is intermediate host for tenia solium rats are the reservoir for rickettsia. Sand fly cause leshmaniasis (intermediate host)